Bacteria X has an adenine content of 33% in its genome. What is the expected thymine content in the genome of X?
1. 22%
2. 33%
3. 44%
4. 67%

Correct answer: 2. 33%

Explanation: Adenine= Thymine = 33% In a double stranded DNA, Chargaff's rule is followed Number of Purines = Number of pyrimidine = = = [?] Chargaff's rule is not applicable for RNA and ssDNA.